Commonest cause of convulsions in a child with fever is:
1. Febrile convulsions
2. Meningitis
3. Epilepsy
4. Hypothyroidism

Correct answer: 1. Febrile convulsions

Explanation: a. Febrile convulsions(Ref: Nelson's 20/e p 2831-2856, Ghai 8/e p 557-561)Febrile seizures are the most common cause of convulsions in a child with fever.